Respiratory centre depression can be caused by all except
1. Opium
2. Strychnine
3. Barbiturates
4. Gelsemium

Correct answer: 2. Strychnine

Explanation: Opium causes significant respiratory depression. Barbiturates does not produce respiratory depression. Strychnine doesn't produce respiratory depression , it is a convulsant. Ref: KD Tripathi 8th ed.